Which of the following is not a component of carpal tunnel?
1. Ulnar nerve
2. Median nerve
3. Flexor digitorum superficialis
4. Flexor digitorum profundus

Correct answer: 1. Ulnar nerve

Explanation: Ans. A Ulnar nerveRef: Gray's Basic Anatomy E-book, P 399Carpal Tunnel Anatomy* Posterior border# Carpal bones* Anterior border# Transverse carpal ligament* Boundaries# Proximally--pisiform and tubercle of navicular# Distally--hook of hamate and tubercle of trapezium* Contents# Flexor digitorum superficialis# Flexor digitorum profundus# Flexor pollicis longus# Median nerve